What is the full explanation of ATLS
1. Advanced trauma life support
2. Advanced tertiary life support
3. Advanced trauma life salvage
4. Advanced tertiary Longterm safety

Correct answer: 1. Advanced trauma life support

Explanation: Ans. (a) Advanced trauma life supportRef. Bailey and Love 26th edition Page 329 * ATLS - Advanced Trauma and Life Support is followed in all cases in management of trauma.